Coagulative necrosis is
1. Characteristic of focal bacterial infections
2. Characteristic of hypoxic death
3. Characterized by loss of tissue architecture
4. None of the above

Correct answer: 2. Characteristic of hypoxic death